Malaria causing nephrotic syndrome -
1. P. vivax
2. P. Falciparum
3. P. malariae
4. P. Ovale

Correct answer: 3. P. malariae

Explanation: It would appear that quartan malaria causes an immune complex nephritis in some individuals that, once established, is sustained by mechanisms not yet fully explained but which may involve an autoimmune process. Evidence to support an immunologic pathogenesis of the renal lesions is provided by the presence of immunoglobulin, complement (C3) and quartan malarial antigen in biopsy specimens studied by immunofluorescence microscopy